Psammoma bodies show which type of calcification?
1. Metastatic
2. Dystrophic
3. Secondary
4. Any of the above

Correct answer: 2. Dystrophic

Explanation: Psammoma bodies are concentrically laminated calcified concretions.Psammoma bodies are seen in Serous Tumors of the ovaryPapillary Carcinoma of the thyroid.Meningiomas( Robbins Basic Pathology, 9th edition )